Type 'A' personality is characterized by all except,
1. Hostility
2. Time pressure
3. Competitiveness
4. Mood fluctuations

Correct answer: 4. Mood fluctuations

Explanation: Ans. is 'd' i.e. Mood fluctuations Type A personality disorder also known as type A behaviour pattern is a set of characteristic that includes beingImpatientExcessively time consciousInsecure about one's statusHighly competitiveHostile and aggressiveIncapable of relaxationType A individuals are often highly achieving workaholics who do multitask, drive themselves with deadlines and are unhappy about the smallest of delays.Although they may exhibit some or all of these characteristic it does not mean that people with type A personality are incapable of showing love, affection or other types of non pessimistic behaviour.Those who do not seek treatment are described as stress junkies and often display some of the following characteristicsAn intrinsic insecurity or insufficient level of self esteem which is considered to be the root cause of the syndromes. This is believed to be covert and therefore less observable.Time urgency and impatience which causes irritation and exasperation.Free floating hostility which can be triggerred even over little incidents.The type B personality in contrast is relaxed and easy going,.There is also a type AB mixed profile for people who cannot be clearly categorized and have a combination of both types of personality.